Posterior belly of digastric is derived from:
1. First brachial arch
2. First brachial pouch
3. Second brachial arch
4. Second pharyngeal pouch

Correct answer: 3. Second brachial arch